A patient presented with subcutaneous nodules over the Iliac Crest, snow flake oplacity in eye. Skin Scraping contains microfilaria and adult worms of
1. Onchocerca volvulus
2. Loa loa
3. Brugia Timori
4. Mansonella Ozzardi

Correct answer: 1. Onchocerca volvulus

Explanation: Subcutaneous nodules, snow flake opacities is a feature of Onchocerciasis.